Active replication in Hepatitis B infection is indicated by?
1. HBeAg
2. HBsAg
3. HBcAg
4. Anti-HBsAg

Correct answer: 1. HBeAg

Explanation: o HBeAg is an indicator of active intrahepatic replication and high infectivity.
o It is a qualitative marker of HBV replication.
Serologic and virologic markers of HBV infection
1. HBs Ag
o First virological marker detectable in the serum
o HBsAg presence precedes elevations of serum aminotrans ferase activity and onset of clinical illness,
o HBsAg become undetectable 1-2 months after the onset of jaundice and rarely persists beyond 6
months,
o In chronic HBV infection, HBsAg remains detectable beyond 6 months.
2. HRcAg
o It is not demonstrable in the circulation because it is enclosed within the HBs Ag coat,
o HBc Ag remain in the hepatocyte, where it can readily be detectable by immunohistochemical staining.
3. HBeAg
o HBe Ag appears concurrently with or shortly after HBs Ag.
o HBe Ag is an indicator of active intrahepatic replication and high infectivity.
o It is a qualitative marker of HBV replication.
o HBs Ag carrier mothers who are HBe Ag positive almost invariably (> 90%) transmit hepatasis B infection
To their offspring, where as HBs Ag carrier mothers with an HBe rarely (10 to 15%) infect their
offspring.
o HBe testing is indicated primarily during follow up of chronic infection.
4. And HBc Ag
o Appears w ithin the first 1 to 2 weeks after the appearance of HBs Ag.
o In acute or recent infection IgM an HBc is detected.
o IgG an HBc indicates remote infection.
5. An HBsAg
o It becomes detectable in blood when HBs Ag disappears,
o An HBs Ag is protective  antibody.
o It is the only serological marker, present after immunization.
6. An HBeAg
o Disappearance of HBe Ag is followed by the appearance of anHBeAg.
o Its presence indicates low infectivity' and virus replication.
7. HBVDNA
o it is the quantitative marker of virus replication